All of the following produces cavitating lesion in the chest radiograph except:
1. Caplan's syndrome
2. Hematoma
3. Squamous cell carcinoma lung
4. Hamartoma

Correct answer: 4. Hamartoma

Explanation: Ans. D: HamartomaCauses of Lung cavitation:Alveolar hydatid diseaseBronchogenic carcinomaEmphysemaHistoplasmosisKlebsiella spTakayasu's aeritisMycobacterium tuberculosisNeurofibromatosis type 1ParagonimiasisPneumocystis cariniiPulmonary embolismRheumatoid diseaseStaphylococcus aureus